Which cranial nerve's fibers are myelinated by oligodendrocytes?
1. I
2. II
3. III
4. VII

Correct answer: 2. II

Explanation: The fibers of the optic nerve (CN II) are myelinated by oligodendrocytes. This is an important distinction from the Other cranial nerves ( myelinated by Schwann cells) because the optic nerve is considered a tract of the central nervous system